Lipschutz bodies are seen in ?
1. Hodgkin's disease
2. Viral hepatitis
3. Herpes
4. Yellow fever

Correct answer: 3. Herpes

Explanation: Answer- C. HerpesLipschutz bodies are Cowdry type A intranuclear inclusion bodies seen in herpes infection.